A pateint presented with short lasting episodic behavioural changes which includes agitation & dream like state with thrashing movements of his limbs. He does not recall of these episodes & no precipitating factor is likely. The most likely diagnosis is-
1. Schizophrenia
2. Temporal lobe epilepsy
3. Panic episodes
4. Dissociative disorder

Correct answer: 2. Temporal lobe epilepsy

Explanation: B i.e. Temporal lobe epilepsy Temporal lobe epilepsy is differentiated from psychogenic seizures by absence of precipitating stress & presence of postictal disorientation, memory loss & dysphasia. Organic lesion Clinical symptoms Temporal lobe epilepsy (TLE) Hyposexuality, Emotional intensity & perseveration approach to interactions, termed viscosity. Left TLE - Humorless - Generate references to personal destiny & philosophical themes Right TLE Excessive emotionality ranging from elation to sadness B/ L temporal lobe lesion Likert Kiuver-bucky syndrome ie hypersexuality, placidity, a tendency to explore the environment with mouth, inability to recognize the emotional significane of visual stimuli, & constantly shifting attention c/a hypermetamorphosis.